Draughtsman colonies are seen with
1. Anthrax
2. Pnuemococci
3. Pertussis
4. Yersenia

Correct answer: 2. Pnuemococci

Explanation: - REF : ananthanarayana 10th ed Pnuemococci Due to alpha hemolysk, colonies of pneumococci rcsemble colonies of Str. vidans. But on further incubation the colonies ofpneumococci become flat with raised edges and central umbonation, so that concentric rings are seen on the surface when viewed from above - draughtsman or Carrom coin appearance.